A flat discoloration on the skin about 1 cm is called
1. Papule
2. Macule
3. Plaque
4. Boil

Correct answer: 2. Macule